ITGCN is seen in
1. Pediatric yolk sac tumor
2. Pediatric teratoma
3. Seminoma
4. Adult spermatocytic seminoma

Correct answer: 3. Seminoma

Explanation: ITGCN is seen adjacent to all germ cell tumors in adults except for spermatocytic seminoma and epidermoid and dermoid cysts. With rare exceptions, it is also not seen in pediatric tumors (teratomas, yolk sac tumors... Robbins 7th edition page 1096) ITGCN is seen with a high frequency in the following conditions: a. Cryptorchidism b. Prior germ cell tumors c. Strong family history of germ cell tumor d. Androgen insensitivity syndrome e. Gonadal dysgenesis syndrome. Ref: gradestack.com